The causal mechanism in carcinoid syndrome is due to
1. Erythropoietin and immunoglobulin
2. Serotonin and bradykinin
3. Insulin and insulin like substances
4. ACTH and ACTH like substances

Correct answer: 2. Serotonin and bradykinin

Explanation: Carcinoid syndrome develops (in 10% of carcinoid tumours) due to release of 5-HT (serotonin), kinins, prostaglandins, histamine and indoles causing flushing, diarrhoea, cyanosis, asthmatic attacks, hepatomegaly, cardiac lesion on right side.. Reference : page 878 SRB's manual of surgery 5th edition